Intravenous regional anesthesia is suitable for :
1. Orthopedic manipulation on the upper limb
2. Vascular surgery on the lower limb
3. Head and neck surgery
4. Caesarian section

Correct answer: 1. Orthopedic manipulation on the upper limb